Earliest abnormality of diabetes nephropathy is-
1. Hyperfiltration
2. Microalbuminuria
3. Hypertension
4. Proteinuria

Correct answer: 1. Hyperfiltration

Explanation: At the onset of diabetes, renal hypertrophy and Glomerular hyperfiltration are present . Earliest abnormality is Glomerular hyperfiltration and earliest manifestation is abluminuria. In 40%of patients with diabetes who develop diabetic nephropathy ,the earliest manifestation is an increase in abluminuria detected by sensitive radioimmunoassay. Microalbuminuria appears 5-10 yrs after the onset of diabetes. Ref:Harrison 20 th edition pg no 2145